Select the drug which is used to treat antibiotic associated pseudomembranous enterocolitis and is a component of anti H. pylori triple drug regimen :
1. Amoxicillin
2. Vancomycin
3. Metronidazole
4. Clotrimazole

Correct answer: 3. Metronidazole